A 56 year old hypertensive patient is brought to the emergency department due to left sided hemiplegia. Hemiplegia is most commonly due to occlusion of?
1. Middle Cerebral Artery
2. Basilar artery
3. Vertebral artery
4. Anterior cerebral artery

Correct answer: 1. Middle Cerebral Artery

Explanation: The middle cerebral arteries are the most common site of occlusion resulting in cerebrovascular accident (CVA). The middle cerebral arteries supply the lateral surfaces of the frontal, temporal, and parietal lobes, and the inferior surfaces of portions of the frontal and temporal bones. MCA infarctions are the most common because the middle cerebral artery is essentially a direct continuation of the internal carotid artery. Contralateral hemiplegia affecting the arm and face more than the leg indicates an infarction in the territory of the middle cerebral artery. If the dominant hemisphere is affected, aphasia also occurs.